Gutta-percha is radio-opaque due to presence of:
1. Zinc oxide eugenol
2. Barium sulphate
3. Potassium sulphate
4. Barium oxide

Correct answer: 2. Barium sulphate